Which of the following should be injected in and around the wound in class III rabies bite?
1. Tetanus toxoid
2. Antibiotic solution
3. Anti rabies serum
4. None of the above

Correct answer: 3. Anti rabies serum